Which of following techniques is used for detection of variations in DNA sequence and Gene expression?
1. Northern Blot
2. Southern Blot
3. Western Blot
4. Microarray

Correct answer: 4. Microarray

Explanation: Microarray is the technique used for detection of variation in DNA sequence and gene expression. Ref: DNA Technology By Joseph R. Lakowicz, Page 214.